Which of the following structures develops from all the three germ layers?
1. Soft Palate
2. Mitral valve
3. Tympanic membrane
4. Tooth

Correct answer: 3. Tympanic membrane